Acid fast structure is:
1. Vibrio
2. Nocardia
3. E. coli
4. Bacillus anthracis

Correct answer: 2. Nocardia

Explanation: Ans. b. Nocardia